Hunt Hess scale is used to grade manifestations of
1. Subarachnoid hemorrhage
2. Meningioma
3. Hydrocephalus
4. Tuberculous meningitis

Correct answer: 1. Subarachnoid hemorrhage

Explanation: Answer-A. Subarachnoid hemorrhageThe initial clinical manifestations of SAH are graded using the Hunt-Hess or World Federation of Neurosurgical Societies classification schemes.A grading system has therefore been developed to document the severity of patient's disease in order to guide therapy and prognostication.